A pregnant woman with severe mitral stenosis is likely to undergo failure in the anetnatal period. Best method to prevent cardiac failure in this patient is?
1. T. Furosemide through out pregnancy
2. Balloon mitral valvuloplasty in second trimester
3. Digoxin for all heart patients
4. Admit all at 30 weeks

Correct answer: 2. Balloon mitral valvuloplasty in second trimester

Explanation: Balloon mitral valvuloplasty is the best treatment to prevent failure in severe MS. The ideal time for surgery would have been the interpregnancy interval, but since the patient is already pregnant, 20 - 24 weeks is the most preferable time. However in cases of severe mitral stenosis, surgery may be performed any time during pregnancy in the interest of the mother. Other treatment includes diuretics, b blockers and limited physical activity